Not true about Angiofibroma
1. Arise from fossa of Rossenmullar
2. Sessions / Radowski classification used
3. Frog face deformity
4. Biopsy is contraindicated

Correct answer: 1. Arise from fossa of Rossenmullar

Explanation: Arises from Sphenopalatine Foramen.